All are involved in HIV except
1. Macrophages
2. Lymphocytes
3. Neutrophils
4. Dendritic cells

Correct answer: 3. Neutrophils

Explanation: Ans: c (Neutrophils) Ref: Robbins, 7th ed, p. 248Profound immunosupression, pri manly affecting cell-mediated immunity is the hallmark of AIDS.The main cell types affected by AIDS vims are:1) CD4+ cells2) Macrophages3) Dendritic cells